Which of the following causes malignant mesothelioma?-
1. Smoking
2. Asbestosis
3. Pneumoconiosis
4. Silicosis

Correct answer: 2. Asbestosis

Explanation: Malignant mesothelioma is a rare form of cancer that affects the thin lining of the body's internal organs, known as the mesothelium. As the word malignant implies, it is a deadly disease that often has a poor prognosis. There are three primary types of mesothelioma: Malignant pleural mesothelioma - occurs in the lining of the lungs (pleura) Malignant peritoneal mesothelioma - occurs in the lining of the abdomen (peritoneum) Malignant pericardial mesothelioma - occurs in the lining of the heart (pericardium)Asbestosis is a chronic inflammatory and scarring disease affecting the tissue of the lungs. People with the condition may experience severe shortness of breath and are at an increased risk for certain cancers, including lung cancer and, less commonly, mesothelioma. Asbestosis specifically refers to fibrosis within the lung tissue from asbestos, and not scarring around the outside of the lungs. It is caused by the breathing in and retention of asbestos fibers. It usually occurs after high intensity and/or long-term exposure to asbestos (particularly in those individuals working on the production or end-use of products containing asbestos) and is therefore regarded as an occupational lung disease. People with extensive occupational exposure to the mining, manufacturing, handling, or removal of asbestos are at risk of developing asbestosis.